Spherule is a feature of which of the following fungus
1. Blastomyces
2. Coccidioides
3. Histoplasma
4. Paracoccidioides

Correct answer: 2. Coccidioides

Explanation: Coccidioides is a dimorphic fungus, it's yeast form is spherule, with a thick doubly refractive wall and filled with endospore. Each endospore gives rise to a spherule. Reference: Textbook of Microbiology; Baveja; 4th edition